Transcytosis occurs in:
1. Epithelial cells of intestine
2. Neuroglia
3. Neuron
4. Axolemma

Correct answer: 1. Epithelial cells of intestine

Explanation: Ans. (a) Epithelial cells of intestineTrans means throughIn transcytosis, the substance enters the cell through its apical side and transported out of the cell through its basolateral sideTranscytosis is commonly seen in epithelial cells of intestine and kidney